Which of the following skin structure'sfunctionis likely to be impaired in case of skin burns caused due to house fire?
1. General somatic efferent nerves
2. Parasympathetic general visceral efferent (GVE) nerves
3. Trophic hormone production
4. Exocrine gland secretion

Correct answer: 4. Exocrine gland secretion

Explanation: Skin has sweat glands and sebaceous glands, which are exocrine glands. Skin produces vitamin D, but it not a trophic hormone, and skin does not produce vitamin A. In addition, skin contains no general somatic efferent (GSE) and parasympathetic general visceral efferent (GVE) nerve fibers.